Which type of pelvis is associated with increased incidence of 'face to pubis' delivery :
1. Gynaecoid pelvis
2. Anthropoid pelvis
3. Android pelvis
4. Platypelloid pelvis

Correct answer: 2. Anthropoid pelvis

Explanation: Ans. is b i.e. Anthropoid pelvis